An infant can regard his parent's face, follow to midline, lift his head from the examining table, smile spontaneously, and respond to a bell. He does not yet regard his own hand, follow past midline, nor lift his head to a 45deg angle off the examining table. Which of the following is the most likely age of the infant?
1. 1 month
2. 3 months
3. 6 months
4. 9 months

Correct answer: 1. 1 month

Explanation: At one month, infants typically regard face, follow items to the midline, begin to vocalize, respond to a bell, and lift their head from the examining table. An 8-week-old child normally should be able to smile and coo when smiled at or talked to. Not until about 3 months of age would an infant be expected to follow a moving toy from side to side and also in the vertical plane.